Vaccine associated paralytic poliomyelitis is defined as those cases of acute flaccid paralysis:
1. Who have residual weakness 6 months after the onset of paralysis and from whose stool samples, vaccine related poliovirus but no wild virus is isolated.
2. Who have residual weakness 60 days after the onset of paralysis and from whose stool samples, vaccine related poliovirus but no wild virus is isolated.
3. Who have residual weakness 6 days after the onset of paralysis and from whose stool samples, vaccine related poliovirus but no wild virus is isolated.
4. Who have residual weakness 60 days after the onset of paralysis and from whose stool samples, wild polio virus is isolated.

Correct answer: 2. Who have residual weakness 60 days after the onset of paralysis and from whose stool samples, vaccine related poliovirus but no wild virus is isolated.

Explanation: b. Who have residual weakness 60 days after the onset of paralysis and from whose stool samples, vaccine related poliovirus but no wild virus is isolated(Ref: IAP Guidebook on Immunization 2013-14; p 119)Vaccine associated paralytic poliomyelitis (VAPP) is defined as those cases of AFP which have residual weakness 60 days after the onset of paralysis and from whose stool samples, vaccine-related poliovirus but no wild poliovirus is isolated.